Which among the following is the most common thyroid malignancy in children?
1. Papillary carcinoma
2. Follicular carcinoma
3. Medullary carcinoma
4. Thyroid lymphoma

Correct answer: 1. Papillary carcinoma

Explanation: Majority of thyroid carcinomas of childhood are of differentiated type, with papillary thyroid carcinoma being the most common malignant tumor in this age group, followed by follicular carcinomas. Medullary thyroid cancer which constitutes 5% of pediatric thyroid malignancies, is usually associated with multiple endocrine neoplasia type 2(MEN2) in the pediatric population. Primary thyroid lymphomaor neoplasia metastatic to the thyroid gland is uncommon in adults and is extremely rare in childhood.